Operon model was elucidated by
1. Jacob & Monad
2. Waston & Crick
3. Leiderburg & Tautum
4. Two D Herell

Correct answer: 1. Jacob & Monad

Explanation: FRANCOIS JACOB and JACQUES MONAD put forward the operon concept in 1965Theory was based on the observation on lactose metabolism in Escherichia coliRef: DM Vasudevan, 7th edition, page no: 617